Small pox belongs to which class of poxviruses -
1. Parapoxvirus
2. Capripoxvirus
3. Leporipox virus
4. Ohopovirus

Correct answer: 4. Ohopovirus

Explanation: Variola virus causes smallpox. It belongs to ohopoxvirus REF:ANANTHA ANARAYANAN MICROBIOLOGYNINTH EDITION PAGE.461&465(RECAP)